A 60 year old man who is a known case of coronary artery disease with drug eluting stent placed 1year ago, presents with lump in abdomen and is posted for laparoscopic diagnostic evaluation. He is also hypertensive patient. Which of the following medications should he discontinue prior to procedure
1. Atenolol
2. Clopidogrel
3. Simvastatin
4. Aspirin

Correct answer: 2. Clopidogrel

Explanation: Clopidogrel has to be stopped 7 days prior to surgery.